The distance between Junctional epithelium and alveolar
bone:
1. increases with age
2. decreases with age
3. Remains constant
4. None of the above

Correct answer: 3. Remains constant